Thrombocytosis is seen in
1. Osteopetrosis
2. Disseminated intravascular coagulation
3. Haemolytic anaemia
4. Thiazide therapy

Correct answer: 3. Haemolytic anaemia